Patients with sickle cell anemia commonly have infection with all except:
1. Streptococcus pneumoniae
2. H. influenza-B
3. Myco tuberculosis
4. All of the above

Correct answer: 3. Myco tuberculosis

Explanation: c. Myco tuberculosis(Ref: Nelson's 20/e p 2336, Ghai 8/e p 344)Regardless of age, all patients with sickle cell anemia are at increased risk of bacterial infection, particularly with encapsulated organisms like Streptococcus pneumoniae, Haemophilus influenzae type b and Neisseria meningitidis.